Middle aged female with mass in sellaturcica hormone increased is-
1. Prolactin
2. Thyroxine
3. Extrogen
4. ADH

Correct answer: 1. Prolactin

Explanation: hypopituitarism occurs as prolactin has an inhibitory effect from normal pituitary resulting in increased prolactin level( Harrison 17 pg2199)